Currently, the threshold of viability lies between
1. 20 and 26 weeks
2. 24 and 28 weeks
3. 26 and 30 weeks
4. 28 and 30 weeks

Correct answer: 1. 20 and 26 weeks

Explanation: Threshold of ViabilityBirths once considered to be "abortuses" because the fetus weighed <500 g are now classified as live births. For those newborns delivered before 33 weeks' gestation, perinatal and neonatal care has advanced tremendously. As a result, the threshold of viability, which is the lower limit of fetal maturation compatible with extrauterine survival, has been reassessed. Currently, the threshold of viability lies between 20 and 26 weeks' gestationReference: William's Obstetrics; 25th edition; Chapter 42; Preterm birth